Most common route of administration of insulin:
1. Intramuscular
2. Subcutaneous
3. Intravenous
4. Intradermal

Correct answer: 2. Subcutaneous

Explanation: Ans. B. SubcutaneousMost common route of administration is subcutaneous. Only in case of diabetic ketoacidosis, regular insulin is given Intravenously.